In acute morphine poisoning, the drug of choice is:
1. Atropine
2. Methadone
3. Naloxone
4. Alcohol

Correct answer: 3. Naloxone